Restriction enzymes have been found in
1. Bacteriophages
2. Bacteria
3. Fishes
4. Humans

Correct answer: 2. Bacteria

Explanation: A restriction enzyme or restriction endonuclease cleaves DNA into fragments at or near specific recognition sites within the molecule known as restriction sites. These enzymes are found in bacteria and provide a defence mechanism against invading viruses. Ref: Biochemistry by U. Satyanarayana 3rd edition Pgno : 579